AB group has following agglutinins:
1. Anti - A & anti - B
2. Neither anti-A nor anti-B
3. Anti-A
4. Anti-B

Correct answer: 2. Neither anti-A nor anti-B

Explanation: Blood Types with Their Genotypes and Their Constituent Agglutinogens and Agglutinins: